Radio-luscent renal stones are composed of ?
1. Cysteine
2. Calcium phosphate
3. Uric acid
4. All

Correct answer: 3. Uric acid

Explanation: Ans is i.e., 'c' i.e. Uric acid Pure uric acid stones are radiolucent but uric acid stone usually contains calcium and are opaque.